Dry drowning is defined as:
1. Drowning in sea water
2. Drowning in cold water, death due to cardiac arrest
3. Drowning in a dehydrated body
4. Drowning where death is due to laryngospasm

Correct answer: 4. Drowning where death is due to laryngospasm

Explanation: D i.e. Drowning where death is d/t laryngeal spasm